The organ NOT involved by endometriosis:
1. Liver
2. Lymph nodes
3. Brain
4. Spleen

Correct answer: 4. Spleen

Explanation: Ans. is d, i.e. SpleenRef: Williams Gynecology, 3/ed, p23One pathological review revealed that endometriosis has been identified in all organs except spleen.